Hepatocellular carcinoma is caused by all of the following except -
1. Hepatitis B
2. Primary Biliary Cirrhosis
3. Chronic alcohol consumption
4. Exposure to industrial dyes

Correct answer: 4. Exposure to industrial dyes

Explanation: Ans. is 'd' i.e., Exposure to industrial dyes Risk Factors for Hepatocellular CarcinomaCommonUnusualCirrhosis from any causePrimary biliary cirrhosisHepatitis B or C chronic infectionHemochromatosisEthanol chronic consumption1 Antitrypsin deficiencyNonalcoholic steatohepatitis (NASH)Glycogen storage diseasesAflatoxin B1 orother mycotoxinsCitrullinemia Porphyria cutanea tarda Hereditary tyrosinemia Wilson's disease